True about streptococcus pyogenes are all except:
1. Causes only localized infection
2. Rheumatic fever is non-supporative complications
3. Erythrogenic toxin causes scarlet fever
4. Glomerulonephritis is due to antigenic cross-reactivity

Correct answer: 1. Causes only localized infection

Explanation: Causes only localized infection